Dose of insulin in stable diabetics is reduced in-
1. Thyrotoxicosis
2. Propanolol therapy
3. III trimester of pregnancy
4. CRF

Correct answer: 4. CRF

Explanation: Insulin in CRF The kidneys carry out one third of exogenous insulin degradation. It is filtered at the glomerulus and is absorbed by the proximal tubule. Sixty percent of the renal clearance is due to glomerular filtration and 40% in the secretion by uptake from peritubular vessels. Reduction in renal filtration is partially counterbalanced by secretion. The dose of exogenous insulin is reduced 25% when eGFR is 10-50 mL/min and 50% when eGFR is < 10 mL/min . Metformin is the preffered choice of treatment of diabetes in CRF REfF - pubmed.com